Cause of unilateral dysmenorrhea
1. One horn of malformed uterus
2. Endometriosis with unilateral distribution
3. Small fibroid at the utero tubal junction
4. All of the above

Correct answer: 4. All of the above

Explanation: Causes of unilateral dysmenorrhea : One horn of malformed uterus Endometriosis with unilateral distribution Small fibroid at the utero - tubal junction. Ovarian dysmenorrhea Right ovarian vein syndrome Colonic or caecal spasm. REF : gynecology book of shaw 17th